Which of the following determines the class of immunoglobulin?
1. L-chain
2. H-chain
3. J-chain
4. Variable region

Correct answer: 2. H-chain

Explanation: Based on the constant region of the heavy chains (g, a, m, d and e);Ig has been classified into five types; lgG, IgA, IgM, IgD and IgE respectively. Differences inheavy chain (H chain) polypeptides allow these immunoglobulinsto function in different types of immune responses and at particular stages of the immune response.